Scotty Dog Sign is seen in
1. Spondylolysis
2. Fracture femur
3. Sarcoidosis
4. Osteosarcoma

Correct answer: 1. Spondylolysis

Explanation: The Scottie dog sign refers to the normal appearance of the lumbar spine when seen on oblique radiographic projection. On oblique views, the posterior elements of the vertebra form the figure of a Scottie dog with: the transverse process being the nose. the pedicle forming the eye. Ref essential orthopaedic maheshwari and mhaskar 6/e p240